Which of the following is characteristically associated with dermatitis?
1. Spongiosis
2. Ohokeratosis
3. Hypergranulosis
4. Acanthosis

Correct answer: 1. Spongiosis

Explanation: Ans. is'a'i.e., SpongiosislRef: Venkataram 1"'/e p. 36-381Intercellular edema in stratum spinosum is known as spongiosis. It is considered to be the most characteristic histopathological finding of eczema ( dermatitis)